Diffusion-weighted imaging typically shows bright signal suggestive of diffusion restriction in all the following except
1. CNS lymphoma
2. Alzheimer's disease
3. MCA territory infarct
4. Brain abscess

Correct answer: 2. Alzheimer's disease